Which of the following muscle relaxant is contraindicated in muscle dystrophy?
1. Quinine
2. Succinyl choline
3. Dantrolene
4. All of the above

Correct answer: 2. Succinyl choline

Explanation: Succinyl choline can cause hyperkalemia in especially in nerve & muscle disorders. Hence it is avoided in patients with paraplegia, Guillain barre syndrome, Myasthenia gravis & muscle dystrophy.